True about ligament injuries around knee are all EXCEPT:
1. Delayed swelling after injury is usually suggestive of ACL injury and immediate swelling is indicative of meniscal injury
2. Mcmurray test is used to test for meniscal tear
3. Lachman test is used for diagnosis of ACL injury
4. Beighton score is used to test for predisposition for ligamentous injury

Correct answer: 1. Delayed swelling after injury is usually suggestive of ACL injury and immediate swelling is indicative of meniscal injury

Explanation: Option a- Swelling occurs after any injury mainly due to inflammatory mediators which release after injury in local tissues. As ACL,PCL are hypervascular structures the amount of mediators released is much more so swelling in ACL injury is much more and is released earlier comparing to injury in menisci Option d - Beighton score is used to predetermine predisposition to ligament injury. Laxity of ligaments and other cartilage tissue in body is assessed. If score >= 4-Ligament injury is meant to occur. Medial menisci - Apley grinding test, McMurray test ACL- Anterior drawer test and Lachman test